In a village of 1 lakh population, among 20, 000 exposed to smoking, 200 developed cancer, and among 40,000 people unexposed, 40 developed cancer. The relative risk of smoking in the development of cancer is -
1. 20
2. 10
3. 5
4. 15

Correct answer: 2. 10

Explanation: Ans. is 'b' i.e., 10